Poststreptococcal acute glomerulonephritis is an example of:
1. Type I hypersensitivity
2. Type II hypersensitivity
3. Type III hypersensitivity
4. Type IV hypersensitivity

Correct answer: 3. Type III hypersensitivity

Explanation: Immune-Complex Disease
Formation of circulating immune complexes contributes to the pathogenesis of a number of conditions other than serum sickness. These include the following:

Autoimmune diseases

Systemic lupus erythematosus (SLE)
Rheumatoid arthritis


Drug reactions

Allergies to penicillin and sulfonamides


Infectious diseases

Poststreptococcal glomerulonephritis
Meningitis
Hepatitis
Infectious mononucleosis
Malaria
Trypanosomiasis



Parija SC. Textbook of Microbiology & Immunology. Elsevier Health Sciences; 2014. Page: 154